Which one is not associated with peptic ulcer -
1. Smoking cigarrete
2. Zollinger Ellison's syndrome
3. Plummer vinsons syndrome
4. Cirrhosis

Correct answer: 3. Plummer vinsons syndrome

Explanation: Conditions also. with peptic ulcer have already been described. Plummer Vinson Paterson Kelly syndrome consists of :- Iron deficiency anemia Dysphasia atrophic oral mucosa, glossitis brittle spoon-shaped fingernails. Typically pts are Woman over 40 yrs of age. Its a Pre-malignant condition* for both oral cavity & esophagus. Ref : S Das textbook, 3/e, p818